Not a Features of tumour lysis syndrome-
1. Hyperuricemia
2. Hypocalcemia
3. Hyperphosphatemia
4. Hypernatremia

Correct answer: 4. Hypernatremia

Explanation: in tumor lysis syndrome there is hyperuricemia, hyperkalemia( pseudo), hyper phosphatemia, and hypocalcemia ( Harrison 17 pg 1736)